Anterior end of the spleen is held up by -
1. Lienorenal ligament
2. Phrenicocolic ligament
3. Gastrosplenic ligament
4. Gastrocolic ligament

Correct answer: 2. Phrenicocolic ligament

Explanation: Phrenicocolic ligament is not attached to the spleen but supports its anterior end.